In human genome project, scientist notices that one strand of the DNA molecule contains 20 thymine (T), 25 cytosine (C), 30 guanine (C) and 22 adenine (A) residues. How many of each of the bases are found in the complete double-stranded molecule?
1. T-44, C=60, G=50, A=40
2. T-22, C=30, G=25, A=20
3. T-40, C=50, G=60, A=44
4. T-42, C=55, G=55, A=42

Correct answer: 4. T-42, C=55, G=55, A=42

Explanation: Question repeated